Ligand-gated ionic channel?
1. VIP receptor
2. GAB AA receptor
3. Norepinephrine receptor
4. GABAB receptor

Correct answer: 2. GAB AA receptor

Explanation: Ans. b (GABAA receptor) (Ref. Ganong Physiology 22nd/Chapter 1 and Fig. 1-29)Receptor with Intrinsic Ion Channel: 1. GABA-A, 2. Nicotinic cholinergic, 3. NMDA, and 4. 5-HT3 receptors.GABA receptors LocationDrugs which bind them GABA-A receptorNeuronal membranes in CNSBenzodiazepinesBarbituratesZolpidem and many othersGABA-B receptorsCoupled to G proteins that either inhibit Ca++ channels or activate K+ channelsSelectively activated by Baclofen